Live vaccines are -a)  TTb) BCGc)  DPTd)  OPVe)  MMR
1. dc
2. cbe
3. bde
4. eb

Correct answer: 3. bde